Bluish discolouration of the vagina seen in pregnancy is known as:
1. Chadwick's sign
2. Goodell's sign
3. Hegar's sign
4. Palmer's sign

Correct answer: 1. Chadwick's sign

Explanation: Ans. Chadwick's sign